All are reasons for alteration of drug dosage in the elderly except:
1. They have decreasing renal function with age
2. They are lean and their body mass is less
3. Have increased baroreceptor sensitivity
4. Body water is decreased

Correct answer: 3. Have increased baroreceptor sensitivity